Thyroid carcinoma associated with hypocalcemia is
1. Follicular carcinoma
2. Medullary carcinoma
3. Anaplastic carcinoma
4. Papillary carcinoma

Correct answer: 2. Medullary carcinoma

Explanation: Answer is B (Medullary Carcinoma) Medullary carcinoma of thyroid secretes calcitonin and this causes reduction in calcium levels.